All of the following about gastrointestinal carcinoid tumours are true, Except
1. Small intestine and appendix account for almost 60% of all gastrointestinal carcinoid
2. Rectum is spared
3. 5 year survival for carcinoid tumors is > 60%
4. Appendical carcinoids are more common in females than males

Correct answer: 2. Rectum is spared

Explanation: About 15% rectum is involved in a carcinoid tumour it arises from the submucosa with the overlying intact mucous membrane. Reference SRB 5 the edition page no. 877